In infant most sensitive audiometric screening is ?
1. Electrocochleography
2. BERA
3. Cortical evoked response
4. Tympanometry

Correct answer: 2. BERA

Explanation: Ans. is 'b' i.e., BERARef: Logan turner Ltr/e p. 416, 417; Anirban biswas clinical audio vestibulometry 3'd/e p. 68, 99BERA (brain stem evoked response audiometry) is now the most widely used method to estimate hearing threshold in infants.